In all the following metabolic disorders, clinical features are seen due to accumulation of toxic compounds EXCEPT?
1. Phenylketonuria
2. Maple syrup urine disease
3. Urea cycle defects
4. Mitochondrial disorders

Correct answer: 4. Mitochondrial disorders

Explanation: Clinical features are seen due to accumulation of toxic compounds in: Phenylketonuria, Maple syrup urine disease, Urea cycle defects, organic acidurias & porphyrias. Mitochondrial disorders involve defects of energy production or utilisation in various organs of body.